Among the toxins produced by Clostridium botulinum, the most potent is:
1. A
2. C
3. D
4. F

Correct answer: 1. A

Explanation: Eight antigenically distinct C. botulinum toxins are known:- A, B, C (alpha), C (beta), D, E, F, and G. Types A, B, E, and, rarely, F cause human disease. Toxins A and B are the most potent, and the consumption of small amounts of food contaminated with these types has resulted in full-blown disease. During the last 20 years, toxin A has been the most common cause of food borne outbreaks; toxins B and E follow in frequency. Toxins C and D cause disease in various animals.